Risk factors associated with the development of Gout all except
1. Thiazide
2. Alcohol
3. Female sex
4. Hypertension

Correct answer: 3. Female sex

Explanation: Gout is an inflammatory disease caused by deposition of monosodium urate monohydrate crystals in and around synovial joints.
Causes of hyperuricaemia and gout
Diminished renal excretion

Increased renal tubular reabsorption*
Renal failure
Lead toxicity
Lactic acidosis
Alcohol
Drugs-Thiazide and loop diuretics, Low-dose aspirin, Ciclosporin, Pyrazinamide

Increased intake

Red meat
Seafood
Offal

Over-production of uric acid

Myeloproliferative and lymphoproliferative disease
Psoriasis
High fructose intake
Glycogen storage disease
Inherited disorders
Lesch–Nyhan syndrome (HPRT mutations)
Phosphoribosyl pyrophosphate synthetase 1 mutation